Mechanism of action of local anaesthetic is:
1. Stabilization of membrane
2. Inhibition of Ca
3. Inhibition of Mg+
4. Increasing dopamine

Correct answer: 1. Stabilization of membrane

Explanation: Stabilization of membrane